A hypertensive woman has come for preconception counseling. Which of the following antihypertensive is advised to continue once she becomes pregnant?
1. Enalapril
2. Chlorthiazide
3. Nifedipine
4. Losartan

Correct answer: 3. Nifedipine

Explanation: Women with chronic hypertension are ideally counseled before pregnancy. The duration of hypertension, degree of blood pressure control, and current therapy are ascertained. Those women who require multiple medications for control or those who are poorly controlled carry greater risk for adverse pregnancy outcomes. Tell women who take antihypertensive treatments other than ACE inhibitors, ARBs or chlorothiazide that the limited evidence available has not shown an increased risk of congenital malformation with such treatments.Angiotensin-Converting Enzyme InhibitorsThese drugs inhibit the conversion of angiotensin-I to the potent vasoconstrictor angiotensin-II. They can cause severe fetal malformations when given in the second and third trimesters. These include oligohydramnios, hypocalvaria, and renal dysfunction Some studies also suggest teratogenic effects, and because of this, they are not recommended at any time during pregnancy.Angiotensin - receptor blockers act in a similar manner. But, instead of blocking the production of angiotensin-II, they inhibit binding to its receptor.They are presumed to have the same fetal effects as angiotensin-converting enzyme inhibitors and thus are also contraindicated.Reference: William's obstetrics; 25th edition; Chapter 50; Chronic Hypertension